Which of the following laryngeal cartilage is Elastic fibrocartilage
1. Thyroid
2. Cricoid
3. Epiglottis
4. Arytenoids except the tip

Correct answer: 3. Epiglottis

Explanation: Thyroid, cricoid and most of the arytenoid cartilages are hyaline cartilages whereas epiglottis, corniculate, cuneiform and tip of arytenoid near the corniculate cartilage are elastic fibrocartilage. Hyaline cartilages can undergo ossification; it begins at the age of 25 years in thyroid, a little later in cricoid and arytenoids, and is complete by 65 years of age. Ref:- Dhingra; pg num:-282